Clindamycin acts by inhibiting -
1. Cell wall synthesis
2. Protein synthesis
3. Cell membrane synthesis
4. Glucose utilization

Correct answer: 2. Protein synthesis

Explanation: Ans. is 'b' i.e., Protein synthesis o It inhibits protein synthesis by binding to 50-S ribosome.